Revised strategy for NPCB includes all except ?
1. Fixed facility surgery
2. TOL implantation for cataract
3. Mobile surgical camps
4. Uniform distribution

Correct answer: 3. Mobile surgical camps

Explanation: Ans. is 'c' i.e. Mobile surgical camps o The National Programme for Control of Blindness (NPCB) was launched in the year 1976 as a 100 per cent centrally sponsored programme and incorporates the earlier trachoma control programme. o Based on survey conducted during 1998-99 & 1999-2000, following measures were included under revised strategy. o Revised strategies - a)To make NPCB more comprehensive by strengthening services for other causes of blindness like corneal blindness (requiring transplantation of donated everts), refractive errors in school going children, improving follow-up services of cataract operated persons and treating other causes of blindness like glaucoma: To shift from the eye camp approach to a fixed facility surgical approach and from conventional surgery to 101., implantation for better quality of post operative vision in operated patients; b)To expand the World Bank project activities like construction of dedicated eye operation theatres, eye wards at district level, training of eye surgeons in modem cataract surgery and other eye surgeries and supply of ophthalmic equipments etc. to the whole country; c)To strengthen participation of Voluntary Organizations in the programme and to earmark geographic areas to NGOs and Government Hospitals to avoid duplication of effort and improve the performance of Government Units like Medical Colleges, District Hospitals, Sub Divisional Hospitals, community Health Centres, Primary Health Centres etc. d)To enhance the coverage of eye care services in tribal and other under-served areas through identification of bilateral blind patients, preparation of village-wise blind register and giving preference to bilateral blind patients for cataract surgery.